A patient with microcytic hypochromic anemia. Hb-9 % , serum iron-20 micro/dl, ferritin level-800mg/ ml, transferrin percentage saturation-64. What is a possible diagnosis?
1. Atransferrinemia
2. Iron deficiency anemia
3. DMT 1 mutation
4. Hemochromatosis

Correct answer: 1. Atransferrinemia